The concetration of potassium in microgram in ORS is-
1. 30 meq
2. 20 meq
3. 90 meq
4. 60 meq

Correct answer: 2. 20 meq

Explanation: Ans. is 'b' i.e., 20 meq